Polysacharide pneumococcal vaccine used in all EXCEPT
1. Sickle cell anemia
2. Less than 2 years of children
3. More than 65 years of man
4. Asplenia

Correct answer: 2. Less than 2 years of children

Explanation: (Less than 2 years of age): (914-Nelson 19th edition) (1158-59- H 18th edition; 147-685- Davidson 21st)* Immunologic responsiveness and efficacy following administration of pneumococcal polysaccharide vaccines is unpredictable in children < 2 years of age (914- Nelson 19th/ed)* High risk children > 2yr of age, such as those with asplenia, sickle cell disease, some types of immune deficiency (eg.antibody deficiencies). HIV infections, Cochlear implant CSF leak, DM and chronic lung, heart or kidney disease (including nephritic syndrome) may benefit also from PPSV23 administered after 2 years of age following priming with the scheduled dose of 13 valent pneumococcal conjugated vaccine (PCV-13)RECOMMENDED ROUTINE VACCINATION SCHEDULE FOR 13-VALENT PNEUMOCOCCAL CONJUGATE VACCINE (PCV13) AMONG INFANTS AND CHILDREN WHO HAVE NOT RECEIVED PREVIOUS DOSE OF 7-VALENT VACCINE (PCV7) OR PCV13, BY AGE AT FIRST DOSE ADVISORY COMMITTEE ON IMMUNIZATION PRACTICES (ACIP), USA, 2010AGE AT FIRST DOSE (M0)PRIMARY PCV13 SERIESPCV13 BOOSTER DOSE2-63 doses1 dose at age 12-15 m07-112 doses1 dose at age 12-15 m012-232 doses-24-59 (healthy children)1 dose-24-71 (children with certain chronic diseases or immunocompromising conditions)2 doses-Capsular polysaecharide vaccine* Pneumococcal polysaccharide vaccine (PPV-23)* All person >65 years of age and for those 2- 64 years of age* Revaccination 5 years after the first dose is recommended for person > 2 years of agePolysaccharide - protein conjugate vaccine (PCV) - developed especially for infants and young children